A patient had injury with development of dirty lacerated wound 10 hours back. There is history of booster dose of TT 7 years back. The patient requires?
1. Not treatment
2. Only I dose of Tetanus immunoglobulin
3. Only 1 dose of TT
4. Complete course ofTT and Tetanus immunoglobulin

Correct answer: 3. Only 1 dose of TT

Explanation: Ans. is 'c' i.e., Only I dose of TT